A truck driver presented to the hospital with a minor soft tissue injury. Which of the following NSAID should not be prescribed to him ?
1. Celecoxib
2. Indomethacin
3. Naproxen
4. Diclofenac sodium

Correct answer: 2. Indomethacin